Erythrophagia and Mononuclear cell infiltration ulcers are seen in -
1. Necrotising colitis
2. Ulcerative colitis
3. Crohn's disease
4. Typhoid ulcers

Correct answer: 4. Typhoid ulcers

Explanation: Erythrophagocytosis (erythrophagia) is characteristic of typhoid ulcer.